All of the following are true about pyruvate dehydrogenase deficiency, EXCEPT
1. Mutation in the E1 component of PDH is the most common
2. Decrease in blood lactate
3. Ketogenic diet rich in leucine is given as a treatment
4. Rise in pyruvate

Correct answer: 2. Decrease in blood lactate

Explanation: PDH complex deficiency results in : Rise in pyruvate Upregulating other reactions of pyruvate metabolism (reduction to lactate by NADH-requiring LDH leading to lactic acidosis.) The most common form of PDH complex deficiency is caused by mutations to E1.